Deficiency of vasopressin results in:
1. Inability of the kidney to concentrating urine
2. Increased Na+ loss
3. Hyperkalemia
4. Decreased urine output

Correct answer: 1. Inability of the kidney to concentrating urine

Explanation: Inability of the kidney to concentrating urine